The solvent flux used for base metal soldering is
1. Boric acid
2. Borax
3. Fluoride
4. Rouge

Correct answer: 3. Fluoride